Birbeck granules in the cytoplasm are seen in-
1. Mast cells
2. Langerhan's cells
3. Thrombocytes
4. Myelocytes

Correct answer: 2. Langerhan's cells

Explanation: Birbeck granules, also known as Birbeck bodies, are rod shaped or "tennis-racket" cytoplasmic organelles with a central linear density and a striated appearance. First described in 1961 (where they were simply termed "characteristic granules"), they are solely found in Langerhans cells. Although part of normal Langerhans cell histology, they also provide a mechanism to differentiate Langerhans cell histiocytoses (which are a group of rare conditions collectively known as histiocytoses) from proliferative disorders caused by other cell lines. Formation is induced by langerin.